Which of the following antiviral drugs is used against HCV infection?
1. Acyclovir
2. Sofosbuvir
3. Oseltamivir
4. Adefovir

Correct answer: 2. Sofosbuvir

Explanation: Sofosbuvir is a direct acting anti-viral drug used against HCV infection. It is a nucleotide analog that inhibits HCV RNA polymerase (NS-5B). The active from of sofosbuvir competes with uridine triphosphate for incorporation into HCV RNA by NS5B polymerase. -Acyclovir: DOC for Herpes simplex virus 1 and 2 and also DOC for varicella zoster -Oseltamivir: DOC for bird flu and swine flu -Adefovir: Primarily used for HBV infection